Which of the following is a layer between choroid and retina?
1. Bruch's membrane
2. Descemet's membrane
3. Photoreceptors
4. Ganglion cell layer

Correct answer: 1. Bruch's membrane

Explanation: Ans. is 'a' i.e., Bruch's membrane * Bruch's membrane is the innermost layer of the choroid. It is also called the vitreous lamina, because of its glassy microscopic appearance. It is 2-4 pm thick. It lies between choroid and the retina.